Non contraceptive benefits of Oral contraceptive pills may be seen in all of the following conditions, except?
1. Breast cancer
2. Endometriosis
3. Endometrial cancer
4. Rheumatoid arthritis

Correct answer: 1. Breast cancer

Explanation: Oral contraceptives are useful in preventing endometrial cancer, ovarian and colorectal cancer. But it increases the risk of development of breast cancer in carriers of BRCA1 and possible BRCA2. Other noncontraceptive benefits includes its use in reduction of dysmenorrhea, menorrhagia, mittleschmerz syndrome, PID, ectopic pregnancy, endometriosis , fibroid uterus, rheumatoid arthritis and autoimmune disorders of thyroid. Ref: Reproductive Health and Cancer in Adolescents and Young Adults By Gwendolyn P. Quinn, page 45; Harrison's Principles of Internal Medicine 18th edition, chapter 347; Textbook of Gynecology by D C Dutta 4th edition Page 446-7.